Posterior Cutaneous Nerve of Thigh supplies skin overlying all EXCEPT
1. Lateral aspect of thigh
2. Posterior Inferior aspect of buttock
3. Scrotum
4. Popliteal Fossa

Correct answer: 1. Lateral aspect of thigh

Explanation: Posterior Cutaneous Nerve of Thigh do not supply the lateral aspect of the thigh. Lateral thigh is supplied by lateral femoral cutaneous nerve. Posterior Cutaneous Nerve of Thigh supplies: Gluteal region, the perineum, and the back of the thigh (and leg) region primarily. It also covers the cutaneous region on posterior inferior aspect of buttock region and scrotum/labia majora.